A young female was worked up for examined for her * infertility by hysterosalpingography reveals 'Bead -- like' fallopian tube and clubbing of ampulla. Which of the following is the most likely cause?
1. Gonococcus
2. Mycoplasma
3. Chlamydia
4. Mycobacterium tuberculosis

Correct answer: 4. Mycobacterium tuberculosis

Explanation: Ans. (d) Mycobacterium tuberculosisRef.: Shaws 15th ed. /158-159; D. C Dutta 8th edj 158-159TB is also an important cause of infertility. Other salient features about TB are as follows:* Most common presentation of genital TB is infertility.* HSG is contraindicated in case of genital TB* Best time to do HSG is within 10 days of LMP.* Vaginal epithelium is resistant to TB.* MC mode of spread of genital TB is hematogenous.* TB salpingitis belong to stage V of PID.* Conception rate even after treatment of genital TB is quite low.